Severity of pancreatitis can be best assessed by:
1. Serial Serum amylase
2. Stool trypsin levels
3. RANSON Score
4. ARDS development

Correct answer: 3. RANSON Score

Explanation: Ans. (c) RANSON SCORERef: Bailey & Love 26th ed. /1128RANSON CRITERIAAt Admission* Age in years > 55 years* White blood cell count > 16000 cells/mm3* Blood glucose >10 mmol/L (> 200 mg/dL)* Serum AST > 250 IU/L* Serum LDH > 350 IU/LWithin 48 hours* Serum calcium < 2.0 mmol/L (< 8.0 mg/dL)* Hematocrit fall > 10%* Oxygen (hypoxemia P02 < 60 mmHg)* BUN increased by 1.8 or more mmol/L (5 or more mg/ dL) after IV fluid hydration* Base deficit (negative base excess) > 4 mEq/L* Sequestration of fluids > 6 LAlternatively, Pancreatitis severity can be assessed by any of the following:* APACHE II score > 8* CT Scan - Substantial pancreatic necrosis (at least 30% glandular necrosis according to contrast-enhanced CT)